True about salivary gland :a) There are more than 400 minor glandsb) 90% of all parotid tumors are malignantc) 90% of minor salivary tumors are malignantd) Superficial paratidectomy done in parotid tumorse) Warthim's tumor common in parotid
1. acde
2. bde
3. abcd
4. abde

Correct answer: 1. acde

Explanation: While the paired parotid, submandibular, and sublingual glands comprise the major salivary glands, the minor salivary glands include approximately 500-1,000 simple tuboalveolar glands distributed throughout the submucosa of the upper aerodigestive tract. These glands are predominately mucous secreting. The minor salivary glands contribute to the mucous blanket of the respiratory tract which traps and clears particulate matter. In the oral cavity, the minor salivary glands produce most of the saliva not secreted at mealtime, which moistens and protects the mucous membranes; They facilitate taste deglutition and guard against cavities.
Approximately 450 to 750 minor salivary glands are present intraorally, located in the mucosa of the lips and cheeks, hard and soft palate, uvula, floor of mouth, posterior tongue, retromolar trigone, and peritonsillar area. The largest concentration of intraoral salivary glands is on the hard palate.
The parotid gland is the most common site for salivary gland tumors and majority of parotid gland tumors are benign (~90%).
Remember that the smaller the salivary gland, the higher is the chance of the tumor being malignant.

Parotid gland 80% benign
Submandibular, Sublingual → 50% benign, 50% malignant
Minor salivary glands → 25% benign, 75% malignant